Omalizumab True statement is-
1. Anti-IgE
2. Used as add on therapy in moderate to severe asthma prophylaxis
3. Givn subcutaneously
4. All o above

Correct answer: 4. All o above

Explanation: Ans. is 'd' i.e.* All of above Anti-IgE (Omalizumab).o Omalizumab is a humanized monoclonal antibody that binds IgE, thereby presenting its binding to the high- affinity IgE receptor and blocking IgE-mediated allergic responses and inflammation,o approved for patients >12 yr old with moderate to severe asthma,o It is given even' 2-4 wk subcutaneously based on body weight and serum IgE levels.o Its clinical efficacy-> as an "add-on " therapy for patients with moderate to severe allergic asthma It is generally well tolerated, although local injection site reactions can occur.